Budd- chiari syndrome is characterised by ?
1. Hepatic veno-occlusive disease
2. Hepatomegaly
3. Portal vein obstruction
4. All

Correct answer: 2. Hepatomegaly

Explanation: Ans. is 'b' i.e.,Hepatomegalyo Budd-chiari syndrome is the clinical picture caused by occlusion of the hepatic vein or inferior vena cava. o It presents with classical triad of abdominal pain, ascites and hepatomegaly.Option 'a' requires some explanation here (read below).o Though, there is occlusion of hepatic vein in Budd - Chiari syndrome , it is not hepatic occlusive disease. o Hepatic venous outflow obstruction is divided into :-.1)Hepatic vein thrombosis and IVC thrombosis :- Budd- chiari syndromeii) Veno-occlusive disease (sinusoidal obstruction syndrome) :- It is a condition in which some of the small veins in the liver are blocked. It is a complication of high dose chemotherapy given before a bone marrow transplantation (BMT).